Most common organism causing UTI in pregnancy is -
1. E. coli
2. Proteus
3. Staphylococcus saprophyticus
4. Group B hemolytic Streptococcus

Correct answer: 1. E. coli

Explanation: Ans. is 'a' i.e., E. coli UTI in pregnancy* The most common uropathogen in the pregnant patient is E. coli (80-90%).* Other pathogens include the following:# Klebsiella pneumoniae (5%)# Proteus mirabilis (5%)# Enterobacter species (3%)# Staphylococcus saprophyticus (2%)# Group B P-hemolytic Streptococcus (1%)# Proteus species (2%)* Asymptomatic bacteriuria: This refers to persistent, actively multiplying bacteria within the urinary tract in women who have no symptoms.* A clean-voided specimen containing more than 100,000 organisms per milliliter is diagnostic. It may be prudent to treat when lower concentrations are identified, because pyelonephritis develops in some women with colony counts of 20,000-50,000 organisms/mL.* A single episode of asymptomatic bacteriuria can cause acute pyelonephritis in 25-40% cases.* Acute pyelonephritis can cause:a) IUGRb) Preterm laborc) Anemiad) Increased risk of PIH* Cranberry fruit juice is known to prevent recurrences of UTI. It prevents the adhesions of the pilins of E. coli to uroepithelium.* Nitrofurantoin is the drug of choice for prophylaxis of recurrent UTI in pregnancy.